In comparison to hyperplasia, hypertrophy involves?
1. Increase in cell size and number
2. Increase in cell size without increase in number
3. Increase in cell number without increasing in size
4. Increase in cell size and decrease in number

Correct answer: 2. Increase in cell size without increase in number

Explanation: Ans. is 'b' i.e., Increase in cell size without increase in number Hyperplasia Increase in cell number without increasing in size o Occurs due to proliferation of cells Occurs only in cell capable of division DNA content in nuclei is same as normal cells o Example of tissues --> Breast, endometrium, liver, kidney Hypertrophy Increase in cell size without increase in number Occurs due to increased synthesis of structural proteins Can occur both in cells with limited capacity of division as well as cells capable of division. DNA content is more than normal cells. Examples of tissues Myocardium, skeletal muscles, Breast, endometium, liver, kidney. Why do some tissues undergo hypertrophy, while others undergo hyperplasia ? o The cells that have limited capacity of proliferation (e.g., myocardial cells & skeletal muscle cells) can not increase their number, So they are not able to undergo hyperplasia. But these cells can increase in size in response to increased demand, So they can undergo hypertrophy. o The cells capable of division (hepatocytes, renal tubular epithelial cells, smooth muscles of uterus) have both the properties, i.e., to increase the number as well as the size. So, tissues containing these cells can undergo hypertrophy or hyperplasia or both. o For example, both hyperplasia and hypertrophy occur in endometrium of pregnant uterus.